Last to putrefy in male is:
1. Uterus
2. Prostate
3. Testes
4. Liver

Correct answer: 2. Prostate

Explanation: Prostate